Circle of hebra is associated with:
1. Syphilis
2. Scabies
3. Leprosy
4. Lichen planus

Correct answer: 2. Scabies

Explanation: B. i.e. Scabies